Fetal sex can be detected by USG at:
1. 14 weeks
2. 16 weeks
3. 18 weeks
4. 20 weeks

Correct answer: 1. 14 weeks

Explanation: Ans. is a, i.e. 14 weeksRef. William's 23/e, p 79"Gender can be determined by experienced observers by inspection of the external genitalia by 14 weeks".Ref Williams Obs 23/e, p 79